The most common cause of severe obstructive uropathy in neonates is:
1. Prune-Belly syndrome
2. Bladder neck obstruction
3. Posterior urethral valves
4. None of these

Correct answer: 3. Posterior urethral valves

Explanation: Ans. C. Posterior urethral valvesPosterior urethral valves are believed to be the most common cause of severe obstructive uropathy in neonates. In this condition, urethral valves are present from before birth which extends from the posterior urethra distally to the external urinary sphincter. Most common site is the prostatic urethra. These neonates commonly have evidence of VUR and reflux nephropathy. Bilateral hydronephrosis and renal damage is common in many of these infants, unless the condition is corrected early. Prune-Belly syndrome and Bladder neck obstruction are also causes of obstructive uropathy in neonates and children, though they appear to be less common cause compared to posterior urethral valves.